Dystrophin is lacking in
1. Polio
2. Duchenne's muscular dystrophy
3. Peroneal muscular atrophy
4. None of the above

Correct answer: 2. Duchenne's muscular dystrophy

Explanation: Duchenne muscular dystrophy is caused due to mutation in the dystrophin gene. Loss of fuction of dystrophin gene located on the short arm of X chromosome. Dystrophin is a very large protein found in the skeletal and cardiac miscle, and peripheral nerves. Robbins basic pathology 9th edition page no 802